Turner syndrome - kary oty ping is-
1. 45, XO
2. 46XO
3. 47 XXX
4. Trisomy 21

Correct answer: 1. 45, XO

Explanation: Ans. is 'a' i.e., 45 XO o 45XOo Lymphadema of dorsum of hand & fato Loose skin fold at nape of necko Short statureo Short Neck (with webbing of neck)o Anomalies earo Broad shield like chest with widely spaced small nippleo Renal anomalies (Horse-shoe, souble or cleft renal pelvis)o Coart of aorta